A child on β2 agonists for treatment of bronchial asthma may exhibit all of the following features EXCEPT:
1. Tremors
2. Hypoglycemia
3. Hypokalemia
4. Bronchodilation

Correct answer: 2. Hypoglycemia